Botulinum toxin type B is used in which disease -
1. Glabellar lines
2. Strabismus
3. Cervical dystonia
4. Blepharospasm

Correct answer: 3. Cervical dystonia

Explanation: Ans. is 'c' i.e., Cervical dystonia o Botulinum toxin type A is used for strabismus, cervical dystonia, blepherospasm, and glabellar lines. o Botulinum toxin type B is used for cervical dystonia. o Abobotulinum toxin A : An acetylcholine release inhibitor and a neuromuscular blocking agent for the treatment of cervical dystonia in adults to reduce the severity of abnormal head position and neck pain, and for the temporary improvement in the appearance of moderate to severe glabellar lines.